HLA B27 is not seen in-
1. SLE
2. Ankylosing spondylitis
3. Reiter's syndrome
4. Psoriotic arthritis

Correct answer: 1. SLE

Explanation: Harshmohan textbook of pathology 7th edition. SLE is associated with immuno regulatory function of class 2 HLA gene includes HLADR, HLADQ, HLADP..